Most anteriorly located valve of the heart is
1. Pulmonary
2. Bicuspid
3. Aortic
4. Tricuspid

Correct answer: 1. Pulmonary